In partial veneer crown, retention can be increased by
1. Increased Length of path of insertion
2. Increase in taper
3. Making path of removal parallel to Long axis of adjacent teeth
4. None of the above

Correct answer: 1. Increased Length of path of insertion